Rules for criminal responsibility of the insane are all, except:
1. Morrison's rule
2. American Law institute's rule
3. New Hampshire doctrine
4. Curren's rule

Correct answer: 1. Morrison's rule

Explanation: Rules related to criminal responsibility of insane person Mc Naughten's rule Durham's rule (1954) Curren's rule (1964) American Law Institute test (1970 The Brawner rule (1972) The Irresistible Impulse (new Hampshire doctrine) Morrison rule(1964): This rule states that the crown heel length of the foetus in centimeters, divided by five gives the age in month.